Spastic paraplegia is caused by all of the following, except:
1. Lead poisoning
2. Cervical spondylosis
3. Vitamin B12 deficiency
4. Motor neuron disease

Correct answer: 1. Lead poisoning

Explanation: Cord compression due to Cervical spondylosis, sub acute combined degeneration of cord due to vitamin B12 deficiency, and motor neuron disease involving the upper motor neuron's are all established cause for spastic paraplegia. Causes of spastic paraplegia includes: Thrombosis of anterior spinal artery Inflammation of cord: acute transverse myelitis Trauma of the spinal cord: fracture of vertebrae, gunshot injury Nutritional: sub acute combined degeneration of the cord, lathyriasis Spinal cord compression: tumor in meninges or cord, caries of spine, syphilitic patchy meningitis Degeneration of the cord: multiple sclerosis, cervical spondylosis, amyotropic lateral sclerosis and syringomyelia Ref: Principles and Practice of Medicine a TB for Students and Practitioners By Prasad, Page 670